The following structures are felt on per rectal examination, EXCEPT:
1. Bulb of penis
2. Ureter
3. Anorectal ring
4. Urogenital diaphragm

Correct answer: 2. Ureter

Explanation: In males the structures that can be felt through the anterior wall of rectum and anal canal in the male are the bulb of penis and membranous urethra, the prostate, seminal vesicles, the base of the urinary bladder. In the females the main structures in front of the anal canal are the vagina and uterus. Posteriorly, in both male and female, the coccyx and lower part of sacrum can be felt; and laterally, the ischial spine and ischial tuberosity can be palpated. Anorectal ring and Urogenital diaphragm are definitely felt in PR examination. Ref: Textbook of Anatomy with Colour Atlas by Inderbir Singh 4th Ed Page 693